A 20 year old patient comes to casuality with sustained injury to eye with a cricket ball on examination there is no perforation but there is hyphaema. The most likely source of blood
1. Short posterior ciliary vessels
2. Circulus iridis major
3. Circulus iridis minor
4. Ophthalmic artery

Correct answer: 2. Circulus iridis major

Explanation: Cirulus Iridis major seen at root of iris is most common source of hypheama